Muscle entering middle ear from pyramid apex is -
1. Stapedius
2. Tensor tympani
3. Tensor palatine
4. Auricularis

Correct answer: 1. Stapedius

Explanation: Ans. is 'a' i.e., Stapedius Muscles of the middle earTensor tympani (Toynbee's muscle)CriteriaStapediusCartilagenous part of auditory tube, greater wing of sphenoid & petrous part of temporal boneOriginPyramidal apex on the posterior wall of the tympanic cavityHandle of malleusInsertionNeck of stapesMandibular division of trigeminalNerve supplyFacial nerveDampens vibration by tensing tympanic membraneActionReduces vibration of stapes by tightening annular ligament